Which of the following drugs is most effective in the management of malignant hyperthermia ?
1. Baclofen
2. Dantrolene
3. Succinylcholine
4. Vecuronium

Correct answer: 2. Dantrolene